Prophylactic thyroidectomy is done for:
1. Hashimoto
2. MEN 2B syndrome
3. Reidel
4. Graves

Correct answer: 2. MEN 2B syndrome

Explanation: Ans. (b)MEN 2BRef: Schwartz 10th edition Page 1550* Patients with RET oncogene mutations, MEN- 2a Syndrome must be taken for Prophylactic thyroidectomy at 5 years* MEN- 2b Syndrome must be taken for Surgery at 1 year